Which of the following is seen in haemolytic uremia syndrome
1. Spherocytes
2. Schistocytes
3. Target cells
4. Heinz bodies

Correct answer: 2. Schistocytes

Explanation: The presence of a severe haemolytic anaemia with schistocytes or fragmented red blood cells in peripheral blood smear is characteristic of microangiopathic haemolytic anaemia such as haemolytic uremic syndrome and thrombotic thrombocytopenia purpura Refer Harrison 17/723 Robbins 9/e p44